Cyst arising from rests of malassez is:
1. Dental cyst
2. Dentigerous cyst
3. Radicular cyst
4. Keratocyst

Correct answer: 3. Radicular cyst